When post-mortem examinations of radioactive cadavers are performed, no special precautions are necessary provided that the radioactivity remaining in the cadaver does not exceed:
1. 05 mCi of I-131
2. 11 mCi of I-131
3. 14mCi of I-131
4. 31 mCi of I-131

Correct answer: 1. 05 mCi of I-131

Explanation: 05 mCi of I-131 PRECAUTIONARY MEASURES IN HANDLING RADIOACTIVE CADAVERS- The precautions in handling radioactive cadavers depend on the nature and quantity of the radionuclide present and on the type of handling intended (e.g. autopsy or embalming prior to burial). Post-mortem Examinations- When post-mortem examinations are performed at places other than treatment centres, no special precautions are necessary provided that the activities remaining in the cadaver who do not exceed 05 mCi of I-131.